In a sample of 100 pregnant females, Mean haemoglobin level estimated was 10 gm% with a Standard deviation of 1 gm%. What is the Standard error?
1. 1 gm%
2. 0.1 gm%
3. 10 gm%
4. 100 gm%

Correct answer: 2. 0.1 gm%